Flumazenil can reverse the respiratory depression caused by which of the following?
1. Fentanyl
2. Ketamine
3. Midazolam
4. Propofol

Correct answer: 3. Midazolam

Explanation: (Ref: KDT 6/e p399, 400) Flumazenil is an antagonist of benzodiazepine receptors and is used to prevent respiratory depression due to benzodiazepines (like midazolam).